The most common site of hypertensive intracranial hemorrhage is:
1. Putamen
2. Midbrain
3. Medulla
4. Cerebrum

Correct answer: 1. Putamen

Explanation: Intracerebral Hemorrhage (Parenchymal) MC Type of Intracranial Hemorrhage Most Common cause is Hypertension- Rupture of small Perforating arteries & arterioles Most common site - Basal ganglia (Putamen)